Which enzyme defect causes phenylketonuria?
1. Phenylalanine oxidase
2. Phenylalanine hydroxylase
3. Tyrosinase
4. Tyrosine transaminase

Correct answer: 2. Phenylalanine hydroxylase

Explanation: Ans. is 'b' i.e., Phenylalanine hydroxylaseMetabolic diseaseEnzyme deficientMaple syrup urine diseaseBranched chain ketoacid dehydrogenaseMethyl-melonic aciduriaMethyl-malonyl CoA mutase (isomerase)Sweaty feet odor in bodyIsovaleryl-CoA dehydrogenaseTyrosinemia I (Tyrosinosis)Fumarylacetoacetate hydroxylaseTyrosinemia IITyrosine transaminase (Tyrosine aminotransferase)Neonatal tyrosinemiaHydroxyphenyl pyruvate hydroxylaseAlbinismTyrosinaseAlkaptonuriaHomogentisate oxidasePhenylketonuriaPhenylalanine hydroxylaseOrotic aciduriaOMP decarboxylaseHomocystinuriaCystathionine synthataseLesh-Nyhan syndromeComplete deficiency of enzyme HGPRTCystinosisCystine reductase